Most common catheter-related bloodstream infection is
1. Candida
2. Gram negative organisms
3. Coagulase positive staphylococci
4. Coagulase negative staphylococci

Correct answer: 4. Coagulase negative staphylococci

Explanation: S.saprophyticus, a coagulase-negative staphylococcus, may be present on the periurethral area and can cause UTI. Ref: Ananthanarayan& Paniker's textbook of microbiology, 9th edition. Pg no.206